Amount of pressure/Force exerted by Lip on maxillary Incisors?
1. 10-15 gm/cm2
2. 20-25 gm/cm2
3. 25-30 gm/cm2
4. 30-35 gm/cm2

Correct answer: 2. 20-25 gm/cm2

Explanation: The average resting lip pressure was 24.59 ± 2.55g/cm2; during swallowing was 24.87 ± 2.45 g/cm2.
Ref: According to 2011, January American Journal of Orthodontics Vol.139, Issue 1, page e1-e6